What is true about iliotibial tract:
1. Thickening of fascia lata
2. Insertion of gluteus medius into it
3. Runs along medial aspect of thigh
4. Inserts to medial aspect of tibia

Correct answer: 1. Thickening of fascia lata

Explanation: Ans. A. Thickening of fascia lataThe iliotibial tract is a longitudinal fibrous reinforcement of the fascia lata. The action of the ITB and its associated muscles is to extend, abduct, and laterally rotate the hip. In addition, the ITB contributes to lateral knee stabilization. It originates at the anterolateral iliac tubercle portion of the external lip of the iliac crest and inserts at the lateral condyle of the tibia.The gluteus maximus muscle and the tensor fasciae latae insert upon the tract.